All of the following abbreviations are true except
1. AMP - Adenosine monophosphate
2. CMP - Cutidine monophosphate
3. GMP - Guanosine monophosphate
4. TMP - Thymine monophosphate

Correct answer: 4. TMP - Thymine monophosphate

Explanation: TMP stands for thymidine monophosphateRef: DM Vasudevan, 7th edition, page no: 560